Seizures caused by ciprofloxacin are exacerbated when which drug is given concomitantly?
1. Nifedipine
2. Steroids
3. Aspirin
4. None

Correct answer: 3. Aspirin

Explanation: K.D Tripathy essentials of medical pharmacology 7th edition . *NSAIDs can enhance the CNS toxicity of FQs (ciprofloxacin):seizures are reported.